When a stress breaker is used on distal abutment with distal extension R.P.D
1. Residual resorption is more on abutment compared to edentulous ridge
2. Residual resorption is Less around abutment compared to edentulous ridge
3. Residual resorption is on abutment and edentulous ridge is same
4. Stress breaker has no role in ridge resorption

Correct answer: 2. Residual resorption is Less around abutment compared to edentulous ridge